Which of the following drug may cause hypertensive crisis in a patient on MAO inhibitor therapy ?
1. Tyramine
2. Guanethidine
3. Phenobarbitone
4. Nor–epinephrine

Correct answer: 1. Tyramine